True statement describing innervation of bladder is
1. Somatic component of peripheral nervous system innervates smooth muscle.
2. Autonomic fibers supplying pelvic viscera course in inferior and superior hypogastric plexus.
3. Autonomic component of peripheral nervous system supplies striated muscle.
4. β - adrenergic receptors predominate in bladder base.

Correct answer: 2. Autonomic fibers supplying pelvic viscera course in inferior and superior hypogastric plexus.

Explanation: Sympathetic fibers are carried through superior hypogastric nerve plexus & Inferior hypogastric plexus provides parasympathetic component.